Which of the following is associated with cough?
1. Lisinopril
2. Propranolol
3. Verapamil
4. Sodium nitroprusside

Correct answer: 1. Lisinopril

Explanation: Ans: a (Lisinopril) Ref: KDT, 6th ed, p. 484* Cough is a side effect of ACE-1.* Bradykinin and substance P seem to be responsible for the cough. Thromboxane antagonism, aspirin, and iron supplementation reduce cough induced by ACE inhibitors. Once ACE inhibitors are stopped, the cough disappears, usually within 4 days.Important points on ACE inhibitorsEnalapril, fosinopril, perindopril, and ramipril are prodrags.Captopril & lisinopril does not require hydrolysis to become active ACE inhibitorEnalapril is converted in the body into enalaprilat. Enalaprilat differs from captopril in that it is an analog of a tripeptide rather than a dipeptide.Adverse effects of ACE inhibitors are cough; hypotension; hyperkalaemia; acute renal failure in patients with bilateral renal artery stenosis, stenosis of the artery to a single remaining kidney, heart failure, or volume depletion owing to diarrhea or diuretics; teratogenicity; skin rash; proteinuria, angioedema and dysguesia.